Side effect of salmeterol is -
1. Tremor
2. Seizure
3. Hypertension
4. Hyperkalaemia

Correct answer: 1. Tremor

Explanation: Ans. is 'a' i.e., Tremor o Salmeterol is a beta - 2 agonist taken by inhalational route and a adverse effects are usually not a problem with beta-agonists when given by inhalation. The most common side effects are muscle tremor and palpitations, which are seen more commonly in elderly patients.o There is a small fall in plasma potassium due to increased uptake by skeletal muscle cells, but this effect does not usually cause any clinical problem.Adverse effects of inhalational b2 - agonistso Owing to their b-selectivity and topical delivery (inhalation), adverse effects are not usually a problem with b2 agonists.o At higher doses systemic absorption and side effects occur due to activation of b-adrenergic receptorsThe most common side effects are muscle tremor and palpitationHypokalemia - biochemical pump that shifts potassium into cells is activated by the b2-receptor agonists, i.e. there is increased intracellular uptake of potassium especially in skeletal muscles.Hyperglycemia - Due to b2 mediated gluconeogenesis and glycogenolysis.Toleranceo Tolerance is a potential problem with b2-agonists.o It is due to down regulation of b2-receptors caused by continous exposure of tissues to b-agonists.o This may cause tachyphylaxis (rapidly developing tolerance). (Note - other drugs showing tachyphylaxis are indirectly acting sympathomimetics, e.g. ephedrine, amphetamine, tyramine).o So, b2 agonists should not be used on any regular schedule - due to tolerance, bronchial hyperactivity not reduced on continous use.o It is advised that patients requiring regular medication should be treated with inhaled steroids and use of b2 agonist inhalers should be restricted to symptomatic relief of on acute attack.Throat irritationAnkle edema7.. Other side effects are anxiety, headache, muscle cramps, dry mouth, arrhythmia, flushing (due to vasodilatation), hypoxemia, MI, disturbance of sleep and behaviour.